Which of the drug is not required in the treatment of cysticercosis?
1. Albendazole
2. Praziquantel
3. Levetiracetam
4. Ketoconazole

Correct answer: 4. Ketoconazole

Explanation: Praziquantel and albendazole are anti helminthic drugs.For symptomatic cerebral cysticercosis ,praziquantel in a dose of 50 mg /kg in three divided doses for 20 -30 days and albendazole in a dose of 400 mg twice daily for 30 days may be administered. In addition antiepileptic drugs should be given until the reaction of brain has subsided Ketoconazole is an antifungal drug and is not required Drugs of choice for parasites Roundworm,hookworm,pinworm-------albendazole,mebendazole,pyrantel pamoate Trichuris trichura-----albendazole,mebendazole,oxantel pamoate Strongyloides stercoralis-----ivermectin,albendazole Filariasis, oncocerciasis------ diethylcarbamazine(DEC), +albendazole Dracunculus medinensis----- metronidazole Flukes---------praziquantel Tapeworm------ praziquantel ,niclosamide Hydatid disease-------albendazole,mebendazole Ref: panikers textbook of Medical parasitology 8th edition page 128,pharmacology for medical graduates tara v shanbag third edition page :500